Which of the following is considered the active form of calcium:
1. Ionised Calcium
2. Albumin bound Calcium
3. Phosphate bound Calcium
4. Protein bound Calcium

Correct answer: 1. Ionised Calcium

Explanation: A i.e. IonisedFree iosized calcium is physiologically active form of calciumQ, that is a vital second messenger and is necessary for blood coagulation, muscle contraction and nerve function.Steroid - Glucocorticoids- Mineralocorticoids- Estrogen- Progesteronid derivatives- Derived from tyrosine - Catecholamines- Thyroid hormonePeptide/Protein- ParathormoneQ- Calcitonin- Insulin- Glucagon- Androgen